Accelerated hypertension leads to?
1. Metabolic acidosis
2. Metabolic alkalosis
3. Respiratory acidosis
4. Respiratory alkalosis

Correct answer: 2. Metabolic alkalosis

Explanation: Accelerated HTN - || RAAS | | Aldosterone | Hypokalemic Metabolic Alkalosis DOC for Accelerated Hypertension - Spironolactone , ACE Inhibitors DOC for Malignant HTN- Nitroprusside.